Most common cause of upper gastrointestinal tract bleeding is
1. Esophageal verices
2. Peptic ulcer
3. Gastritis
4. Mallory weiss tear

Correct answer: 2. Peptic ulcer

Explanation: .ACUTE PEPTIC ULCER (DUODENAL OR GASTRIC ULCER) They are usually multiple erosions due to disruption of the mucosal barrier. Causes -Stress, drugs like analgesics, steroids, surgeries. Clinical Features -* Sudden onset of acute pain and tenderness in the epigastric region. * Vomiting with or without haematemesis. * Often acute peptic ulcers can lead to perforations. Acute ulcers after cerebral trauma or neurosurgeries are called as Cushing's ulcers. Acute ulcers after major burns are called as Curling's ulcers. Diagnosis is by gastroscopy.most common cause of upper oesophageal bleeding is a peptic ulcer. Ref: SRB's manual of surgery,3 rd ed, pg no 770